Adductors of vocal cord -a)  Posterior cricoarytenoidsb) Cricothyroidc) Transverse arytenoidsd) Vocalise) Lateral cricoarytenoids
1. ab
2. bc
3. acd
4. bce

Correct answer: 4. bce